Blow out injury with ptosis occurs due to damage to?
1. Zygomatic arch
2. Orbital floor
3. Sphenoid bone
4. Palantine and maxillary bones

Correct answer: 2. Orbital floor

Explanation: Ans. (b) Orbital floor* Fracture of the orbital floor is the most common traumatic orbital fracture.* Eyebrow Ptosis after Blowout Fracture Indicates Impairment of Trigeminal Proprioceptive Evocation That Induces Reflex Contraction of the Frontalis Muscle.* The force of a blow to the orbit is dissipated by a fracture of the surrounding bone, usually the orbital floor and/ or the medial orbital wall. Serious consequences of such injury include diplopia in upgaze where there is significant damage to the orbital floor. In blowout fractures, the medial wall is fractured indirectly.* Fracture of the medial wall is more common than the floor, since the medial wall is slightly thinner (0.25 mm vs 0.50 mm). However; it is known that pure blowout fractures most frequently involve the orbital floor. This is due to the honeycomb structure of the numerous bony septa of the ethmoid sinuses, thus allowing it to withstand the sudden rise in intraorbital hydraulic pressure better than the orbital floor